Retinitis Pigmentosa is associated with all except:
1. Usher Syndrome
2. Marfan's Syndrome
3. Kearns- Sayre Syndrome
4. Bassen - Kornzweig Syndrome

Correct answer: 2. Marfan's Syndrome

Explanation: B i.e. Marfan syndrome